All the following species of Haemophillus show satellitism , except
1. H. influenzae
2. H.aegypticus
3. H.haemolyticus
4. H.ducreyi

Correct answer: 4. H.ducreyi

Explanation: Satellitism is seen when the organism lacks factor V that is provided by S.aureus. But H.ducreyi is needs only factor X for growth. Hence it does not show satellitism.